DNA polymerase enzyme of HBV is coded on following gene -
1. c gene
2. s gene
3. p gene
4. x gene

Correct answer: 3. p gene

Explanation: P gene is code for DNA polymeraseMICROBIOLOGY REF:ANANTHA NARAYANAN NINTH EDITION PAGE.544